Which of the following condition is associated with mucinous ascites?
1. Stomach carcinoma
2. TB
3. Nephrotic syndrome
4. Cirrhosis

Correct answer: 1. Stomach carcinoma

Explanation: Mucinous ascites is seen in pseudomyxoma peritonei, colloidal carcinoma of stomach or colon with peritoneal implants. Ref: Harrison 17/e, Page 268